Advantages of ultrasound nuchal translucency over biochemical screening for Down syndrome include
1. Uses transvaginal approach
2. More consistent measurements than lab tests
3. Better in multiple gestation
4. Wide gestational age range

Correct answer: 3. Better in multiple gestation

Explanation: Biochemistry does not work well for multiple gestations.